Microorganisms found in lung abscess is / are:
1. Amoeba
2. Histoplasma
3. Bacteroides
4. All of the above

Correct answer: 4. All of the above